Amoxicillin + clavulanic acid is active against the following organisms EXCEPT :
1. Methicillin resistant Staph. aureus
2. Penicillinase producing Staph. aureus
3. Penicillinase producing N. gonorrhoeae
4. β-lactamase producing E. coli

Correct answer: 1. Methicillin resistant Staph. aureus

Explanation: Staphylococcus aureus develops resistance to methicillin by acquiring altered penicillin-binding proteins that have low affinity. No Beta-lactam antibiotic is effective against MRSA.
Clavulanic acid is an inhibitor of β-lactamase. It can restore the sensitivity of penicillins against the organisms who have developed penicillinases.